Behçet’s syndrome all are true except
1. Multisystem disease believed to represent immunodysfunction in which vasculitis is a prominent feature.
2. Oral and genital aphthous-type ulcers, conjunctivitis, uveitis (inflammation of the layers of the eye), arthritis, headache, and other CNS manifestations.
3. Treated with corticosteroids and other immunosuppressive drugs.
4. None of the above is exception to Bechet’s syndrome.

Correct answer: 4. None of the above is exception to Bechet’s syndrome.